A 32 year old male, Kallu, who recently visited a sea coast presented with ulcer over the left leg. The probable cause is
1. Pasturella multocida
2. Micrococcus halophillus
3. Vibrio vulnificus
4. Neisseria gonorrhea

Correct answer: 3. Vibrio vulnificus